Taste fibres are relayed to which of the following structure?
1. Nucleus of fifth nerve
2. Tractus solitarius
3. Nucleus ambiguus
4. Red nucleus

Correct answer: 2. Tractus solitarius

Explanation: Nucleus solitarius is an elongated sensory nucleus in the medulla that receives axons from cranial nerves VII, IX, and X. The rostral part of this nucleus is called gustatory nucleus and it conveys information about taste and visceral sensations. Fibers from this nucleus ascend to ventroposterior nucleus (VPM) in the thalamus and project to the cortical area for taste (area 43, located near the operculum). Nucleus ambiguus gives rise to the branchial efferent axons in nerves IX and X. It controls swallowing and vocalization. Superior salivatory nucleus is located just rostral to the dorsal motor nucleus. This nucleus controls salivary secretion and lacrimation. Ref: Waxman S.G. (2010). Chapter 7. The Brain Stem and Cerebellum. In S.G. Waxman (Ed), Clinical Neuroanatomy, 26e.